Salmonellosis is most common in:
1. Sickle cell anemia
2. Thalassemia
3. Hemophilia
4. Cystic fibrosis

Correct answer: 1. Sickle cell anemia

Explanation: a. Sickle cell anemia(Ref: Nelson's 20/e p1386 and 2339, Ghai 8/e p)Children with sickle cell disease are at increased risk for Salmonella septicemia and osteomyelitis.